You are a forensic surgeon examining the hair sample obtained from a crime scene. The following are the findings: Hair diameter is 120 micrometer; cross section is rounded ; pigmentation is dense auburn through the cross section; cuticle is thick; undulations are rare. What race does the hair most probably belong to?
1. Negroid
2. Mongoloid
3. Caucasoid
4. None

Correct answer: 2. Mongoloid

Explanation: The cross section of the hair is kidney shape in Negroid, oval in Caucasoid and round in Mongoloid. The cuticle is thick in case of Mongoloid. It is not so in Caucasoid. Furthermore the pigmentation pattern is also suggestive of Mongoloid race. Ref: Textbook of Forensic Medicine and Toxicology by V.V Pillay, 15th Edition, Page 56.